The most common tooth to get impacted (excluding the third molars) is
1. Maxillary canine
2. Mandibular canine
3. Maxillary II premolar
4. Mandibular II premolar

Correct answer: 1. Maxillary canine